AIDS patient with broad budding yeast:-
1. Histoplasmosis
2. Blastomycosis
3. Cocidiomycosis
4. Paracocidiomycosis

Correct answer: 2. Blastomycosis

Explanation: In AIDS patient fungal infection by dimorphic fungi is very common. All the four options have dimorphic fungi but they have different characteristics. Histoplasma has narrow base budding East whereas blastomycosis have broad based budding yeast whereas in cocidiodimycosis has endospores with spherules are present and in paracocidiomycosis Mickey Mouse kind of arrangement of yeast cells is seen.